A community of 500000 people had 100 deaths in a year. Out of those 100 deaths 10 individuals died due to pulmonary TB. What is the proportional mortality rare from TB-
1. 10%
2. 50%
3. 75%
4. None

Correct answer: 1. 10%

Explanation: Ans. is 'a' i.e., 10% Proportional mortality from TB =No. of deaths due to TB in a year----------------------------Total no. of deaths in that yearx 100